Which of the following drug has been withdrawn from the market?
1. Nicorandil
2. Ropinrole
3. Rotigotine
4. Rofecoxib

Correct answer: 4. Rofecoxib

Explanation: COXIBS which are selective cox 2 inhibitors are very rarely used and banned from the market due to the high incidence of Myocardial infarction and stroke. these disrupt the ration of TXA2 and PCI thromboxane and prostacycline which leads to long term risk of stroke. Ref: KD Tripathi 6th ed, pg 534 and 197